Most common cause of hyperthyroidism-
1. Thyroid hyperplasia
2. Thyroid adenoma
3. Thyroid carcinoma
4. Grave disease

Correct answer: 4. Grave disease

Explanation: Most common cause of hyperthyroidism is Graves' disease - 76% followed by Toxic Multinodular goitre - 14% and Toxic Solitary thyroid adenoma - 5%. Reference : page 740 Davidson's Principles and practice of Medicine 22nd edition